CPITN index is used to assess:
1. The degree of periodontal destruction
2. The amount of calculus present
3. The treatment needs
4. The degree of inflammation of the gingival tissues

Correct answer: 3. The treatment needs